Distal renal tubular acidosis is associated with:
1. Oxalate stones
2. Citrate
3. Calcium stones
4. Uric acid stones

Correct answer: 3. Calcium stones

Explanation: Answer is C (Calcium Stones): Distal Renal Tubular Acidosis is associated with increased in cadence of Calcium Phosphate Stones Alkaline urine, Hypercalciuria and low levels of urinary citrate precipitate calcium phosphate stones in the kidney in patients with Distal Renal Tubular Acidosis (Typel). Proximal Renal Tubular Acidosis (Type-2) is not associated with increased incidence of Renal Stones despite Hypercalciuria because urinary citrate levels are normal or high.